Fibroblasts in tissue culture form interferon of type-
1. Alpha
2. Beta
3. Gamma
4. All of the above

Correct answer: 2. Beta

Explanation: IFN beta produced by fibroblasts Reff: Anantharayan & Panikers textbook f microbiology 9th edition pg:155